By the age of 7months, infants are able to do all the following Except
1. Transfer of object from hand to hand
2. Bounces actively
3. Cruises
4. Roll over

Correct answer: 3. Cruises

Explanation: At 10 Months Sitting: Sits up alone and indefinitely without support, with back straight Standing: Pulls to standing position; "cruises" or walks holding on to furniture Motor: Creeps or crawlsAdaptive: Grasps objects with thumb and forefinger; pokes at things with forefinger; picks up pellet with assisted pincer movement; uncovers hidden toy; attempts to retrieve dropped object; releases object grasped by other peopleLanguage: Repetitive consonant sounds ("mama," "dada") Social: Responds to sound of a name; plays peek-a-boo or pat-a-cake; waves bye-byeReference: Nelson Textbook of Paediatrics; 20th edition; Chapter 10; The First Year